Nucleus ambiguus is composed of:
1. 7,9,10 cranial nerve nucleus
2. 7,9,11 cranial nerve nucleus
3. 9,10,11 cranial nerve nucleus
4. 7,10,11 cranial nerve nucleus

Correct answer: 3. 9,10,11 cranial nerve nucleus

Explanation: Ans. C. 9,10,11 cranial nerve nucleusCells in nucleus ambiguus contain motor neurons associated with three cranial nerves (rostral pole = C.N. IX = glossopharyngeal; middle part = C.N. X = vagus; caudal pole = C.N. XI = spino accessory). Axons arising from nucleus ambiguus pass laterally and slightly ventrally to exit the medulla just dorsal to the inferior olive. These axons then course with the three cranial nerves IX (glossopharyngeal), X (vagus) and XI (spino accessory) to innervate the striated muscles of the soft palate, pharynx, larynx, and upper part of the esophagus.